Tram track appearance on histopathology of kidney is seen in
1. Membranous nephropathy
2. Membranoproliferative glomerulonephritis
3. IgA nephropathy
4. Cresentric glomerulonephritis

Correct answer: 2. Membranoproliferative glomerulonephritis

Explanation: Refer Robbins page no 920PHOLOGY The glomeruli are large and hypercellular. The hypercellu- larity is produced both by proliferation of cells in the mesangium and so-called endocapillary proliferation involving capillary endothelium and infiltrating leukocytes. The glomeruli have an accentuated "lobular" appearance due to the proliferating mesangial cells and increased mesangial matrix (Fig. 20-16). The GBM is thickened, and often shows a "double- contour" or "tram-track" appearance, especially evident in silver or PAS stains. This is caused by "duplication" of the basement membrane (also commonly referred to as splitting), usually as the result of new basement membrane synthesis in response to subendothelial deposits of immune complexes. Between the duplicated basement membranes there is inclu- sion or interposition of cellular elements, which can be of mesangial, endothelial, or leukocytic origin. Such interposition also gives rise to the appearance of "split" basement mem- branes